Duration of action of omeprazole is -
1. 1-2 hrs
2. 4-8 hrs
3. 8-16 hrs
4. 24-48 hrs

Correct answer: 4. 24-48 hrs

Explanation: Ans. is 'd' i.e., 2448 hrs o These drugs have a short half life of about 1.5 hours, however, the duration of action lasts for 24 to 48 hours due to the irreversible inactivation of the proton pump Until new proton pumps are synthesized and incorporated into the luminal membrane of parietal cells.